Which of the following tendons passes below the sustenticulum Tali
1. Tibialis Anterior
2. Tibialis Posterior
3. Flexer digitorum longus
4. Hexer Hallucis Longus

Correct answer: 4. Hexer Hallucis Longus

Explanation: D i.e. Flexer Hallucis LongusThe tendon of flexor hallucis longus (FHL) passes below the sustentaculum taliQ (of calcaneus bone) along a groove on its undersurface; whereas the tendon of tibialis posterior lies immediately above the sustentaculum tali and pass tendinous slips of attachment to itQ. Mn- FHL passes below and TP inserted above the sustentaculum tali"